Upper segment: Lower segment ratio increases in all of the following conditions except-
1. Spondyloepiphyseal Dysplasia
2. Rickets
3. Achondroplasia
4. Congenital hypothyroidism

Correct answer: 1. Spondyloepiphyseal Dysplasia

Explanation: Disproportionate short stature - SHO TRUNK DWARFISM:- US:LS DECREASES Mnemonic - Short Man May Climb High Spondylo - Epiphyseal dysplasia Mucopolysaccharidosis Mucolipidosis Caries spine (Pott's spine) Vertebral defects like (hemivertebrae) - Alagille Syndrome S SHO LIMB DWARFISM:- US:LS INCREASES Mnemonic - R A C O - R -Rickets A - Achondroplasia C - Congenital Hypothyroidism O - Osteogenesis Imperfecta Remember * In Marfan syndrome & Homocystinuria patients have long limbs so, US:LS Decreases Q * Also remember - Endocrine causes are cause of proportionate short stature except hypothyroidism. Q - So proportionate short stature is seen in - Growth hormone deficiency.